Regarding aprepitant all are true execpt:
1. Agonist at NK1 receptors
2. Crosses blood brain barrier
3. Ameliorate nausea and vomiting induced by chemotherapy
4. Metabolized by CYP450 enzymes

Correct answer: 1. Agonist at NK1 receptors

Explanation: Aprepitant is a highly selective NK1 receptor antagonist orally active and enter the brain. It is used in treating and preventing chemotherapy induced emesis. It is metabolized by CYP3A4 enzymes and can also inhibit the metabolism of drugs metabolized by this enzyme e.g.warfarin.(Katzung 11/e p 1086,Goodman and Gilman 11/ep650)